Most common salivary gland tumor in children:
1. Lymphoma
2. Adenoid cystic Ca
3. Pleomorphic adenoma
4. Mucoepidermoid Ca

Correct answer: 3. Pleomorphic adenoma

Explanation: The commonest benign tumor encountered is pleomorphic salivary adenoma accounting for approximately 30% of all pediatric salivary neoplasma. The majority occur within the parotid gland. Most common malignant tumor of salivary gland in childhood: Mucoeidermoid carcinoma, approximately 50% followed by acinic cell carcinoma (20%)